Quality of the X-ray beam is governed by:
1. kVp
2. mA
3. Filament current
4. Length of the X-ray tube

Correct answer: 1. kVp